Antischkow cells are -
1. Modified macrophages
2. Modified neutrophils
3. Modified B cells
4. Modified RBCs

Correct answer: 1. Modified macrophages

Explanation: Ans. is 'a' i.e., Modified macrophages Pathologic Features of Acute Rheumatic Fever :-o Aschoff bodies focal inflammatory lesions seen in acute rheumatic fever consisting of foci of T lymphocytes, occasional plasma cells, and plump activated macrophages,o These activated macrophages called Anitschkow cells (pathognomonic for Rheumatic Fever) have abundant cytoplasm and central round-to- ovoid nuclei (occasionally binucleate) in which the chromatin condenses into a central, slender, wavy ribbon (hence also called "caterpillar cells"),o Pancarditis - During acute RF, diffuse inflammation and Aschoff bodies may be found in any of the three layers of the heart, resulting in pericarditis, myocarditis, or endocarditiso Verrucae are small (1 to 2 mm) vegetations overlying necrotic foci and along the lines of closure of valves,o MacCaUum plaques are irregularly thickened subendocardial lesions usually in the left atrium,o Mitral stenosis - Fish Mouth or Button - Hole stenosis,